The etiology of anterior ethmoidal neuralgia is:
1. Inferior turbinate pressing on the nasal septum
2. Middle turbinate pressing on the nasal septum
3. Superior turbinate pressing on the nasal septum
4. Causing obstruction of sphenoid opening

Correct answer: 2. Middle turbinate pressing on the nasal septum

Explanation: Sluder's neuralgia or the anterior ethmoidal syndrome is pain around the bridge of the nose radiating into the forehead. It is said to originate from the middle turbinate (part of ethmoid bone) pressing on the deviated septum. This is a rare cause of headache and also k/a contact point headache.